Most common benign esophageal tumour is:
1. Leiomyoma
2. Rhabdomyoma
3. Adenoma
4. none of the above

Correct answer: 1. Leiomyoma

Explanation: Leiomyomas constitute more than 50% of benign esophageal tumors. Ref: Schwartz's principle of surgery 9th edition, chapter 25.